Feature of Achalasia cardia (cardiospasm) include all of the following except-
1. Increasing dificulty in swallowing more for liquids than for soilds
2. Regurgitant vomiting
3. Dilated & turtuous esophagus
4. Filling defect on barium study

Correct answer: 4. Filling defect on barium study